Which of the following is not true about Xenon anesthesia?
1. Non explosive
2. Minimal cardiovascular side effects
3. Slow induction and slow recovery
4. Low blood gas solubility

Correct answer: 3. Slow induction and slow recovery

Explanation: Ans. c. Slow induction and slow recovery Xenon anaesthesia is inert, non-explosive, environment friendly having low blood solubility with minimal cardiovascular side effects. Lower blood gas coefficient of Xenon results in rapid induction and recovery.Xenon Anesthesia* Xenon was isolated by William Ramsay (Nobel prize for chemistry ) in 1904 and 1st used as anesthetic in 1950.* It is one of the noble gases (colourless, odurless, nonirritating, non-flammable, does not support combustion and non-explosive gas)* Heavier than air (4 times) and more viscous than N2 and N2O.* Being extremely unreactive. it does not interact with soda lime, but will diffuse readily through rubber.* Except for cost, xenon would be the most ideal inhaled anesthetic agent because Xenon (MAC of 71%) is more potent than nitrous oxide, can provide anesthesia in 30% O2 is very insoluble (blood-gas partition coefficienct of 0.14) and has positive medical and environmental effects.Characteristic Features of Xenon Anaesthesia* Minimal cardiovascular and hemodynamic side effects* Not known to be metabolized in liver or kidney* Not teratogenic and does not trigger malignant hyperthermia* Neuroprotective and cardioprotective0* Emergence from xenon anesthesia is faster* Xenon is more potent than nitrous oxide with MAC 71%* It is a good analgesic* Blood-gas solubility coefficient of less than one third of N2O, there is still the potential of diffusion hypoxia during recovery.* Lower blood gas coefficient of Xenon results in rapid induction and recovery* It provides good hemodynamic stability with little change in blood pressure.* It inhibits calcium pump in plasma membrane0 and NMDA receptor in dorsal bom neuron.Advantages of Xenon AnesthesiaDisadvantages of Xenon Anesthesia* Inert, non-explosive, environment friendly* Low blood solubility* Not metabolized in the body* Rapid induction and recovery* Eliminated via lungs (can be used in renal and hepatic failure)* Does not trigger malignant hyperthermia* High cost* Less potent* No commercially available anesthesia equipment